When Pleural tapping is done in the mid axillary line, muscle not pierced is -
1. Internal intercostals
2. External intercostals
3. Inner most intercostals
4. Transversus thoracis

Correct answer: 4. Transversus thoracis

Explanation: Muscles pierced in midaxillary line during pleural tap
-        Serratus anterior
-        External intercostal
-        Internal intercostal
-        Intercostalis intimi